Which of the following is a WRONG pair regarding features of cranial nerves:
1. Most commonly involved in basal skull fracture: Facial nerve
2. Most commonly involved in raised intracranial tension: Abducent nerve
3. Most commonly affected in spinal anaesthesia: Abducent nerve
4. Most commonly involved in intracranial aneurysm: Optic Nerve

Correct answer: 4. Most commonly involved in intracranial aneurysm: Optic Nerve

Explanation: Most common nerve involved in basal skull fracture is Facial nerve. Most common nerve involved in raised intracranial tension is Abducent nerve . Most common nerve affected during spinal anesthesia is also Abducent nerve. Most commonly involved in intracranial aneurysm is Oculomotor nerve ansd not optic nerve. An aneurysm at the junction of the posterior communicating and posterior cerebral arteries compresses parasympathetic nerve fibers of the Oculomotor nerve, causing a dilated pupil.